Which of the following drug used in peptic ulcer can result in gynaecomastia
1. Sucralfate
2. Cimetidine
3. Pirenzepine
4. Rabeprazole

Correct answer: 2. Cimetidine

Explanation: Cimetidine inhibits metabolism of estrogen and can cause gynaecomastia.